The following general anaesthetic causes characteristic 'dissociative anesthesia':
1. Thiopentone
2. Althesin
3. Ketamine
4. Barbiturate

Correct answer: 3. Ketamine

Explanation: The characteristic state observed after an induction dose of ketamine is known as "dissociative anesthesia," wherein the patient's eyes remain open with a slow nystagmic gaze (cataleptic state). If ketamine is administered as the sole anesthetic, amnesia is not as complete as with the benzodiazepines. Reflexes are often preserved, but it cannot be assumed that patients are able to protect the upper airway. The eyes remain open and the pupils are moderately dilated with a nystagmic gaze . Frequently, lacrimation and salivation are increased. Ref: Eilers H., Yost S. (2012). Chapter 25. General Anesthetics. In B.G. Katzung, S.B. Masters, A.J. Trevor (Eds), Basic & Clinical Pharmacology, 12e.